All are louse borne diseases except:
1. Epidemic relapsing fever
2. Epidemic typhus
3. Endemic typhus
4. Trench fever

Correct answer: 3. Endemic typhus

Explanation: Ans. C. Endemic typhusFlea borne endemic typhus is caused by Rickettsia typhi. Trench fever - Bartonella Quintana, Epidemic relapsing fever -Borrelia recurrentis, Epidemic typhus - Rickettsia prowazekii